Seronegative arthritis include-
1. Ankylosing spondylitis
2. Reiters arthritis
3. Psoriatic arthritis
4. All of the above

Correct answer: 4. All of the above

Explanation: Ans. is `d' i.e., All of the above